Planning and programming of movements is the function of which part of cerebellum
1. Vestibulocerebellum
2. Flocculonodular lobe
3. Spinocerebellum
4. Neocerebellum

Correct answer: 4. Neocerebellum

Explanation: Planning and programming of movements is the function of neocerebellum. Ref: Ganong's review of medical physiology, 23rd edition, Page no:254